Fever with pulmonary disease leading to severe pneumonia if untreated caused by which of the following dimorphic fungi?
1. Coccidiodes immitis
2. C neoformis
3. C albicans
4. Aspergillus

Correct answer: 1. Coccidiodes immitis

Explanation: Coccidiodes immitis-pulmonary system severely affected Fatal if untreated It is dimorphic fungus present in yeast and in mycelial form Ref: Baveja 5th ed pg: 555